Arrhythmias are most common when adrenaline is used with
1. Halothane
2. Isoflurane
3. Enflurane
4. Sevoflurane

Correct answer: 1. Halothane

Explanation: Ans. a (Halothane) (Ref. Anaesthesia by Ajay Yadav, 2nd/pg. 60-62)DRUGS CAUSING SENSITIZATION OF HEART WITH ADRENALINE# Cyclopropane# Chloroform# Enflurane# Halothane# Trilene# NO# MethoxyfluraneAlso know:In terms of the extent of hepatic metabolism, the rank order for the inhaled anesthetics is methoxyflurane > halothane > enflurane > sevoflurane > isoflurane > desflurane > nitrous oxide.